In which case Anterior resection is the method of tit ?
1. Ca sigmoid colon
2. Ca rectum
3. Ca colon
4. Ca anal canal

Correct answer: 2. Ca rectum

Explanation: Ans 'b' ie Ca Rectum Anterior resection is the general term used to describe operations in which rectosigmoid part is resected from an abdominal approach with no need for perineal, sacral or other incision. Resection of the rectosigmoid colon performed above the pelvic peritoneum is called high anterior resection. whereas an operation in which it is necessary to open the pelvic peritoneum to approach the lesion in upper 2/3 of rectum is called as Low anterior resection.